A 37 year old female was diagnosed with paranoid schizophrenia. Her husband wanted to know about the poor prognostic factors. Which of the following is a poor prognostic factor?
1. Married
2. Female gender
3. Absence of precipitating factors
4. Family h/o mood disorders

Correct answer: 3. Absence of precipitating factors

Explanation: Good Prognostic factors
Bad prognostic factors


Acute onset
Insidious onset


Late age group
Early age group


Female
Male


Type I
Type II


Precipitating factors present
Precipitating factors absent


Family history of Mania
Family history of Schizophrenia.